The biphasic pattern on histology is seen in which tumor-
1. Rhabdomyosarcoma
2. Synovial cell sarcoma
3. Osteosarcoma
4. Neurofibroma

Correct answer: 2. Synovial cell sarcoma

Explanation: In synovial cell Sarcoma characteristic biphasic pattern seen i.e., Epithelial cells sharply segregated by sarcomatoid cells.